Dalen Fuch's nodules are found in:
1. Superficial keratitis
2. Sympathetic opthalmitis
3. Vernal catarrh
4. Trachoma

Correct answer: 2. Sympathetic opthalmitis

Explanation: Sympathetic opthalmitis